Check each of the following statements concerning intracellular fluid that is true: 1.It contains morethan50% of the body water 2.It has a higher osmotic pressure than extracellular fluid 3.It has a higher concetration of organic anions than extracellular fluid Which if the following best summarizes your conclusion?
1. Statement 2 is true
2. Statement 1 & 2 are true
3. Statement 1 & 3 are true
4. Statement 1, 2 & 3 are true

Correct answer: 3. Statement 1 & 3 are true

Explanation: Intracellular fluid contains 2/3 of body water.Under steady-state conditions the intracellular osmolarity and extracellular osmolarity are equal. If there was a difference ,water would diffuse until they were equal .The intracellular compartment does have a higher concentration of organic anions, mainly proteins, then the extracellular fluid.